Which cytokine activate macrophages -
1. IL-8
2. IFN-y
3. PAF
4. Leukotriene B4

Correct answer: 2. IFN-y

Explanation: Ans. is 'b' i.e., IFN-y Activated macrophageso Recent studies show that there are two types of activated macrophages : -1. Classically activated macrophages (M1)o These are activated by microbial products and cytokines like IFN-g.o These cells release lysosomal enzymes, NO, IL-1, and IL-12.o These cells are involved in microbicidal activities and pathogenic inflammation.2. Alternatively activated macrophages (M2).o These cells are activated by microbial products and cytokines like IL-4, IL-5.o These cells release IL-10, TGF-b.o These cells are involved in anti-inflamatory actions and wound repair.